Subepithelial Bullae are seen in:
1. Dermatitis herpatiforms
2. Molluscum contagiosum
3. Pemphigus
4. All

Correct answer: 1. Dermatitis herpatiforms

Explanation: A i.e. Dermatitis herpetiformis